In erect posture commonest site of foreign body in bronchus is
1. Right posterior basal
2. Right anterior basal
3. Lateral basal
4. Medial basal

Correct answer: 1. Right posterior basal

Explanation: From Schwa, 7/e- "The most common anatomic location for a foreign body is the right main stem bronchus or the . lower lobe." " The right main stem bronchus is wider, shoer and veically placed, and therefore the posterior segments of the right upper lobe (if the pt. aspirated while supine) are anatomically susceptible to aspiration pneumonia. The superior segments of the right lower lobe and left lower lobe (if the pt. supine) are also susceptible to aspiration pneumonia. These three segments are often referred to as the aspiration segments of the lung. The basilar segments of both lungs are susceptible to aspiration if the pts. aspirates while erect or sitting up." Aspiration in Supine Position : RL upper lobe - posterior segment Rt. lower lobe - superior segment Lt. lower lobe - superior segment Aspiration in sitting or erection position Rt. basilar segments (of lower lobe). Ref : Schwaz 9/e p1420